Which of the following drugs cause oligospermia?
1. Leflunomide
2. D-Penidillamine
3. Methotrexate
4. Sulfasalazine

Correct answer: 4. Sulfasalazine

Explanation: It is a compound of sulfapyridine and S-amino salicylic acid (5-ASA); has anti-inflammatory activity and is primarily used in ulcerative colitis. Sulfapyridine split off in the colon by bacterial action and absorbed systemically appears to be the active moiety. Generation of superoxide radicals and cytokine elaboration by inflammatory cells may be suppressed. Efficacy of sulfasalazine in RA is modest and side effects are few, but neutropenia/thrombocytopenia occurs in about 10% patients and hepatitis is possible. It is used as a second line drug for milder cases. Free radicles can cause oligospermia Dose: 1-3 g/day in 2-3 divided doses ESSENTIALS OF MEDICAL PHARMACOLOGY;7TH EDITION; KD TRIPATHI; PAGE NO 211